Cerebellar glomeruli are seen in ________ layer of cerebellar cortex
1. Molecular
2. Purkinje
3. Granular
4. None of the above

Correct answer: 3. Granular

Explanation: Cerebellar glomeruli are seen in the granular layer of cerebellar cortex. It is a synaptic complex involving four types of neurites: Mossy fibre terminalDendrites of granule cell Dendrites of golgi cells Golgi cell axon terminal Each glomeruli is surrounded by a capsule of neuroglial cells and appears ovoid or spherical. (Ref: Vishram Singh textbook of clinical neuroanatomy, second edition pg 116, fig 10.6)